All are true regarding cryptococcal infection,except -
1. Occurs in immunodeficient states -
2. Capsular antigen in CSF is a rapid method of detection
3. Anticapsular antibody is protective
4. Urease +ve

Correct answer: 3. Anticapsular antibody is protective